Which of the following is not a mood stabilizer ?
1. Lithium
2. Valproate
3. Carbamazepine
4. Fluoxetine

Correct answer: 4. Fluoxetine